Coracoid process is what type of epiphysis?
1. Atavisitic
2. Pressure
3. Traction
4. Aberrant

Correct answer: 1. Atavisitic

Explanation: Atavastic epiphysis is phylogenetically an independent bone which in man becomes fused to another bone Example: coracoid process of scapula and os trigonum or lateral tubercule of talus Refernce B D CHAURASIA'S HANDBOOK OF GENERAL ANATOMY Fourth edition page no 41